What is false regarding wandering spleen
1. Chronic torsion leads to splenomegaly
2. Treatment of choice is splenectomy
3. Infarction and torsion are common
4. Long vascular pedicle is seen

Correct answer: 2. Treatment of choice is splenectomy

Explanation: Wandering Spleen Wandering spleen is a rare finding seen in children and in women between the ages of 20 and 40 years. One of two causes is suspected. The first is theorized to result from a failure to formnormal splenic peritoneal attachments that suspend the organ securely within its usual anatomic position. Failure to form these attachments is thought to arise from lack of fusion of the dorsal mesogastrium to the posterior abdominal wall during embryogenesis. The second theory surmises that in multiparous women, hormonal changes and abdominal laxity lead to an acquired defect in splenic attachments. In either case, without these attachments, the splenic pedicle is unusually long and prone to torsion. Intermittent abdominal pain, splenomegaly resulting from venous congestion, and severe persistent pain are suggestive of wandering spleen and tension or intermittent torsion of the splenic pedicle. A mobile mass may be palpable on physical examination. CT of the abdomen with intravenous administration of contrast material provides confirmation of the diagnosis, with the spleen located outside its usual position. A noncontrasted spleen or whorled appearance of the vascular pedicle provides additional evidence for the condition and may be helpful in choosing splenopexy or splenectomy Ref: Sabiston 20th edition Pgno: 1564